A patient who has undergone partial gastrectomy presents with neurological symptoms. Most probable diagnosis:
1. Folic acid deficiency
2. Thiamine deficiency
3. Vitamin B12 deficiency
4. Iron deficiency

Correct answer: 3. Vitamin B12 deficiency

Explanation: Ans. (c) Vitamin B12 deficiencyRef: Sabsiton 20th Edition, Page 1212* Following partial gastrectomy there is decreased production of Intrinsic factor which leads to vitamin B12 deficiency.